Torus aorticus is
1. Bulge in the atria
2. Bulge in aorta
3. Aortic wall tear
4. Septal defect

Correct answer: 1. Bulge in the atria

Explanation: Torus aorticus is a bulge in the atria . Ref - medscape.com